All of the following are Vitamin B6 dependent syndromes, EXCEPT:
1. Pyridoxine dependent seizures
2. Xanthurenic aciduria
3. Cystanthioninuria
4. Darier disease

Correct answer: 4. Darier disease

Explanation: Darier disease- autosomal dominant, characterized by greasy hyperkeratotic papules in seborrheic regions, nail abnormalities, and mucous membrane changes. Vitamin B6 dependence syndromes syndromes : pyridoxine-dependent epilepsy, a vitamin B6-responsive anemia, xanthurenic aciduria, cystathioninuria, and homocystinuria.